All of the following are radiological signs of scurvy, EXCEPT:
1. Trimmerfeld zone
2. Frenkel's line
3. Pelican spur
4. Soap bubble appearance

Correct answer: 4. Soap bubble appearance

Explanation: Ascorbic acid is essential for the hydroxylation of lysine and proline in collagen, hence the impairment in wound healing. Collagen is an important part if bone also, so the defect in bones occurs. Soap bubble appearence in the xrays is usually seen in osteoblastoma and in gaint cell tumour. Ref: Terry Yochum, Lindsay Rowe (2005), Chapter 14, "Nutritional, Metabolic and Endocrine disorders", In the Book, "Essentials of Skeletal Radiology", Volume 1, 3rd Edition, USA, Page 1517 ; Text Book of Radiology and Imaging By Sutton, 7th Edition, Page 1356